Long standing multinodular goiter leads to:
1. Follicular Ca thyroid
2. Colloid carcinoma
3. Medullary Ca
4. Papillary Ca

Correct answer: 1. Follicular Ca thyroid

Explanation: Ans. (a) Follicular Ca thyroidRef: Bailey and Love 26th edition, Page 765* Longstanding MNG can lead to follicular cancer.* Previous irradiation leads to papillary cancer.